Palpatory thud, an audible snap is seen in
1. Tracheal foreign body
2. Bronchial foreign body
3. Laryngeal foreign body
4. Foreign body in ear

Correct answer: 1. Tracheal foreign body

Explanation: A foreign body in trachea may move up and down the trachea between the carnia and the undersurface of vocal cords causing "audible slap" and "palpatory thud'.Symptoms and signs of foreign bodies at different levelsSite of foreign bodiesSymptoms and signsLarynxChoking, Cyanosis, Complete obstruction leading to death* Partial obstruction: stridor, hoarseness, cough, respiratory difficultyTrachea* Choking, stridor, wheeze, cough, palpatory thud, audible slap* Cough, wheeze and diminished air entry to lung forms a "triad"Bronchi Respiratory distress with swelling of the foreign body* Lung collapse, emphysema, pneumonitis, bronchiectasis or lung abscess are late featuresRef: Hazarika; 3rd ed; Pg 651